A 3rd gravida with normal previous 2 pregnancies. Best test to diagnose Rh sensitization in Rh -ve mother is
1. Direct Coombs' test
2. 'C' Antigen
3. Indirect Coombs' test
4. 'O 'Antigen

Correct answer: 3. Indirect Coombs' test

Explanation: In all cases of Rh-negative women irrespective of blood grouping and parity, albumin antibody is detected by indirect Coombs' test.